Malignant neoplasms shows all the following features EXCEPT
1. Disorganized cell structure
2. Encapsulation
3. Invasion of blood vessels
4. Rapid, erratic growth

Correct answer: 2. Encapsulation